Reservoir of hookworm -
1. Human being
2. Soil
3. Faeces
4. Monkeys

Correct answer: 1. Human being